A 38 year old male has paroxysmal hypertension. He is subsequently found to have medullary carcinoma of the thyroid, pheochromocytoma, and mucosal neuromas. Parathyroid involvement is not noted. What is the most likely diagnosis?
1. MEN type I
2. MEN type II
3. MEN type III
4. Sipple's syndrome

Correct answer: 3. MEN type III

Explanation: MEN III, also known as MEN IIb, is characterized by medullary thyroid carcinoma, pheochromocytoma, and mucosal neuromas.Wermer's syndrome is also called MEN type I . It is characterized by pancreatic (insulinoma), pituitary, and parathyroid involvement.Sipple's syndrome, or MEN type II , is similar to MEN III, but it has parathyroid involvement (tumor or adenoma) as opposed to neuromas. Ref: Wyatt C., Butterworth IV J.F., Moos P.J., Mackey D.C., Brown T.G. (2008). Chapter 18. Endocrine Pathology. In C. Wyatt, J.F. Butterworth IV, P.J. Moos, D.C. Mackey, T.G. Brown (Eds), Pathology: The Big Picture.